Bakers cyst is a type of -
1. Pulsion diverticulum of knee joint
2. Retention cyst
3. Bursistis
4. Benign tumor

Correct answer: 1. Pulsion diverticulum of knee joint

Explanation: *It is the pulsion diverticulum of the knee joint, caused by chronic disease in the joint. *Bulging of the posterior capsule and synovial herniation may produce a swelling in the popliteal fossa. *It fluctuates but is not tender. REF:Apley's 9th/e p.578-9